Permanent impairment of fingerprints occurs in all except
1. Leprosy
2. Acanthosis nigricans
3. Electrical injuries
4. Radiation injuries

Correct answer: 2. Acanthosis nigricans

Explanation: Permanent impairment of fingerprints occurs in: Leprosy Electrical injuries Radiation injuries Ridge alteration occur in: Acanthosis nigricans Scleroderma